Thiazides act on:
1. PCT
2. DCT
3. Glomerulus
4. Ascending limb of loop of Henle

Correct answer: 2. DCT